Gold poisoning leading to exfoliative dermatitis is Rx by:
1. Chloroquine
2. Steroid
3. Antibiotics
4. Antihistaminics

Correct answer: 2. Steroid

Explanation: Rx of exfoliative dermatitis: Topical: Emollients Systemic: Systemic steroids Cyclosporine Antimetabolites Antibiotics only for secondary infection.